Burking includes:
1. Choking
2. Ligature
3. Overlaying
4. Traumatic asphyxia

Correct answer: 4. Traumatic asphyxia

Explanation: Suffocation deaths: SmotheringQ Occlusion ofexternal air passagesQby hand, pillow, plastic bag etc ChokingQ Occlusion ofinternal air passagesQby foreign body, food particles etc Overlaying Compression of chestQ, when mother shares bed with baby GaggingQ Occlusion ofinternal air passages at pharyngeal level by a gagQ BurkingQ Smothering and traumatic asphyxia Burking: